Meaning of term vitriolage is:
1. Using vitriol for suicide
2. Using vitriol for murder
3. Vitriol throwing
4. Perforation of stomach caused by H2SO4

Correct answer: 3. Vitriol throwing

Explanation: C i.e. Vitriol throwing Vitriolage (Vitriol throwing) is throwing of any corrosive, not necessarily sulphuric acid (H2SO4) on another personQ. Eyes are the most affected organs.